A 55 years aged chronic alcoholic male, presented with irrelevant talks, tremor and sweating. He had his last drink 3 days back. What will the probable diagnosis?
1. Delirium tremens
2. Korsakoff psychosis
3. Post-Acute withdrawal syndrome
4. Discontinuation syndrome

Correct answer: 1. Delirium tremens

Explanation: The description of symptoms is related to the condition "Delirium Tremens" * Delirium Tremens / Alcohol Withdrawal Delirium (AWD): * Most severe form of ethanol withdrawal manifested by, # Altered mental status (Global confusion) # Autonomic hyperactivity (Sympathetic overdrive) * Mechanism: * Alcohol abuse affects neurotransmitter systems in brain mainly by, # Loss of GABA inhibitory mechanism - Reduces chloride ion influx. # Alcohol acts as NMDA receptor antagonist - Withdrawal increases the excitatory neurotransmitter. * The clinical manifestations of ethanol withdrawal are combination effects of GABA & NMDA receptor activity. * Thus causing tremors, diaphoresis, tachycardia, anxiety & in severe cases Seizure. REF: DAVIDSONS 10TH ED